Grevious hurt comes under section:
1. 319
2. 320
3. 324
4. 326

Correct answer: 2. 320

Explanation: 320